Which is false about malaria ?
1. P.falciparum infects all forms of RBC
2. RBC size is more in P. Vivax
3. Relapse seen in P. Falciparum
4. Female mosquito transmit disease

Correct answer: 3. Relapse seen in P. Falciparum

Explanation: P vivax and P ovale may persist as dormant forms, or hypnozoites after the parasites have disappeared from the peripheral blood. The resurgence of an erythrocytic infection (relapse) occurs when merozoites from hypnozoites in the liver break out, are not phagocytosed in the bloodstream, and succeed in reestablishing a red cell infection. Without treatment, P vivax and P ovale infections may persist as periodic relapses for up to 5 years. Human infection results from the bite of an infected female Anopheles mosquito, through which the sporozoites are injected into the bloodstream. Parasitized red cells are enlarged in P.ovale, P.malariae P vivax, P malariae, and P ovale parasitemias are a relatively low grade, primarily because the parasites favour either young or old red cells but not both. P falciparum invades red cells of all ages, including the erythropoietic stem cells in bone marrow, so parasitemia may be very high. P falciparum also causes parasitized red cells to adhere to the endothelial lining of blood vessels, with resulting obstruction, thrombosis, and local ischemia. P falciparum infections are therefore far more serious than the others, with a much higher rate of severe and frequently fatal complications (cerebral malaria, malarial hyperpyrexia, gastrointestinal disorders, algid malaria, blackwater fever). REF:Jawetz microbiology 27e pg: 719